Village health guide scheme was started in ?
1. 1974
2. 1977
3. 1986
4. 1989

Correct answer: 2. 1977

Explanation: Ans. is 'b' i.e., 1977